Dale's vasomotor reversal is due to -
1. Alpha blocker
2. Beta blocker
3. ACH inhibitor
4. All of the above

Correct answer: 1. Alpha blocker

Explanation: Ans. is 'a' i.e., Alpha blocker o In Dale's vasomotor reversal Neurotransmitter --> Adr Blockade --> a - receptors Stimulation --> [32-receptors o Re-reversal of vosomotor reversal is due to propranolol ((3-blockers).